Azygos lobe is found in -
1. Heart
2. Spleen
3. Lung
4. Pancreas

Correct answer: 3. Lung

Explanation: Ans. is 'c' i.e., Lung Lobes of lungso Lobes of lungs may be;Left lung- It has two lobes separated by oblique fissure :Superior (upper) lobe ; It is the part above and in front of oblique fissure. Ligula is a small part of superior lobe projecting from the lower part of cardiac notch at the anterior border of the left lung.Inferior (lower) lobe : It is below and behind oblique fissure.Right lung- It has three lobes separated by transverse (horizontal) fissure and oblique fissure.Superior (upper) lobe : It is the part above horizontal fissure in front of oblique fissure.Middle lobe : It is wedge shaped part between oblique and horizontal fissures.Inferior (lower) lobe : It is the part below the horizontal fissure behind oblique fissure.C. Azygos lobes- These are accessory lobes and are of three types :Upper azygos lobe : Above the hilum.Lower azygos lobe : Below the hilum.Lobe of azygos vein : It is the medial part of split apex of right lung.